All of the following can result in serotonin syndrome when combined with MAO inhibitors except
1. Tricyclic antidepressants
2. Selective serotonin reuptake inhibitors
3. Carbamazepine
4. Tyramine containing foods

Correct answer: 4. Tyramine containing foods

Explanation: Tyramine containing foods along with MAO inhibitors produce cheese reaction that is develop severe hypertension. In serotonin syndrome hyperthermia, sweating, restlessness, muscle rigidity, aggressive behavior, tremors, seizures and coma occur. Ref KD Tripati 8th ed.